Structure pierced to give caudal anaesthesia is?
1. Obturator foramen
2. Sacrococcygeal membrane
3. Dura mater
4. Lumbosacral ligament

Correct answer: 2. Sacrococcygeal membrane

Explanation: Caudal anesthesia is popular in pediatric anesthesia and is particularly useful when sacral anesthetic spread is desired (e.g., perineal, anal, rectal procedures). Caudal anesthesia requires identification of the sacral hiatus. The sacrococcygeal ligament (i.e., extension of ligamentum flavum) overlies the sacral hiatus between the two sacral cornua. To facilitate locating the cornua, the posterior superior iliac spines should be located and, by using the line between them as one side of an equilateral triangle, the location of the sacral hiatus should be approximated. After the sacral hiatus is identified, the index and mid-dle fingers of the palpating hand are placed on the sacral cornua, and after local infiltration, the caudal needle (or Tuohy needle if a catheter is to be placed) is inserted at an angle of approximately 45 degrees to the sacrum. While the needle is advanced, a decrease in resistance to needle insertion should be appreciated as the needle enters the caudal canal. The needle is then redirected so that the angle of insertion relative to the skin surface is decreased.